Lines of Sebileau pass through
1. Floor of orbit and maxillary antrum
2. Floor of nasal cavity and maxillary antrum
3. Floor of orbit and nasal cavity
4. Floor of orbit and roof of mouth

Correct answer: 1. Floor of orbit and maxillary antrum

Explanation: Lederman's classification of carcinoma of the maxillary sinus is using two lines of Sebileau, one passing through the floor of maxillary antrum the other through the roof of antrum or floor of orbit dividing area into Supra structure, Mesostructure and Intra structure. (Ref: Textbook of diseases of ENT, PL Dhingra, 7th edition, pg no. 233)